Excess of growth hormone does not cause
1. Gigantism
2. Acromegaly
3. Diabetes
4. Obesity

Correct answer: 4. Obesity

Explanation: Large amounts of growth hormone, leads to gigantism in children and to acromegaly in adults. Before puberty, the individual may grow to an extraordinary height. When the epiphyses are closed, linear growth is no longer possible. In this case, an overabundance of growth hormone produces the pattern of bone and soft tissue deformities known in humans as acromegaly. The sizes of most of the viscera are increased. The protein content of the body is increased, and the fat content is decreased. At least some forms of growth hormone are diabetogenic because they increase hepatic glucose output and exert an anti-insulin effect (insulin resistance) in muscle. Growth hormone is also ketogenic and increases circulating FFA levels. The ability of growth hormone to promote fat utilization, together with its protein anabolic effect, causes an increase in lean body mass (NOT OBESITY).